The three types of abrasives used in dentistry can be classified as the following EXCEPT:
1. Polishing abrasives
2. Finishing abrasives
3. Bleaching abrasives
4. Cleansing abrasives

Correct answer: 3. Bleaching abrasives